Lambert-Eaton Myasthenic Syndrome is associated with?
1. Hyperthyroidism
2. Small cell lung carcinoma
3. Vitiligo
4. All of the above

Correct answer: 4. All of the above

Explanation: Around 50% cases of Lambert Eaton Myasthenic syndrome have paraneoplastic association with small cell lung carcinoma.
The disease is also seen in association with other autoimmune diseases.